A 40 year man comes to hospital with a ulcerative lesion in his Right thumb. It happened while working in garden. On culture, moist creamy colonies appear. Most common organism is
1. Blastomyces
2. Phaeohyphomycosis
3. Rhinosporidium
4. Sporothrix

Correct answer: 4. Sporothrix

Explanation: Sporotrichoisis - Rose gardener disease.
On culture - at 37oC creamy white colonies.